MEN type I includes tumors of all except
1. Parathyroid
2. Pituitary
3. Pancreas
4. Medullary carcinoma of thyroid

Correct answer: 4. Medullary carcinoma of thyroid

Explanation: MEN 1 is characterised by abnormalities involving parathyroid,pancreas and pituitary. It is due to mutation in MEN1 tumour suppressor gene. Medullary carcinoma thyroid is a feature of MEN2 ,which is due to germline mutations in RET proto oncogene on chromosome 10q11.2. (Ref :ROBBINS Text book of pathology endocrinology)